In one of the following condition cavities filled with
fluid is seen in the centre of spinal cord:
1. Multiple sclerois
2. Syringo myelia
3. Tabes Dorsalis
4. Meningovascular syphilis

Correct answer: 2. Syringo myelia